Positive Hepatojugular Reflux is found in all of the following conditions, except:
1. Tricuspid Regurgitation
2. Precapillary Pulmonary Hypertension
3. Right Ventricular Infarction
4. Decreased After-load

Correct answer: 4. Decreased After-load

Explanation: Answer is D (Decreased After-load) Positive Hepatojugular Reflux represents decreased compliance of the right ventricle and right atrium. This may result from an increase in preload and/or afterload to the right atrium and/or right ventricle.